Unilateral sudden complete loss of vision (Amaurosis fugax) is due to lesion in -
1. Internal carotid artery
2. Middle cerebral artery
3. Anterior cerebral artery
4. Basilar artery

Correct answer: 1. Internal carotid artery

Explanation: Amaurosis fugax refers to sudden temporary and painless monocular visual loss occurring due to a transient failure of retinal circulation. COMMON CAUSES: Carotid transient ischemic attack, embolization of retinal circulation, papilloedema, giant cell arteritis, Raynaud's disease, migraine, as a prodromal symptom of central retinal artery or carotid artery occlusion, hypertensive retinopathy, and venous stasis retinopathy. Reference: Comprehensive Opthalmology, A K Khurana; 6th edition.pg no331.